Mr.X fired his gun at Mr.Y who moved and escaped with the bullet only grazing his arm. There was only a little bleeding and no other significant injury. Mr. X is liable for arrest under which section of IPC?
1. 302
2. 304
3. 324
4. 326

Correct answer: 3. 324

Explanation: In the question there is simple injury by a dangerous weapon, hence 324 IPC IPC Sections related to Hurt etc:- 319. Definition of Hurt (Any Bodily pain, Infirmity or Disease) 320. Definition of Grievous hurt. 321 Defines Voluntarily causing hurt 322 DefinesVoluntarily causing Grievous hurt 323 Punishment for causing hurt: Up to 01 year, fine up to 1000 Rs 324 Punishment for causing Hurt by dangerous weapon: Up to 03 years, or fine 325 Punishment for causing Grievous hurt: Up to 07 years, and also fine. 326 Punishment for Grievous hurt by dangerous weapons: Imprisonment for life, or up to 10 yrs, and fine 326 A Causing grievous hurt by throwing acid: Minimum ten years and maximum upto life 326 B Throwing or attempting to throw acid: Minimum 5 years and maximum upto 7 years) 330 Causing hurt to extort confession, or to compel restoration of property. 331 Causing grievous hurt to extort confession, or to compel restoration of property. 334 Punishment for Hurt on provocation: Up to 01 month, or with fine up to 500 rupees, or both. 335 Punishment for Grievous hurt on provocation: Up to 04 years or with fine up to 2000 rupees